All are duties of a medical practitioner except
1. A medical practitioner should uphold the dignity and honor of his profession
2. Doctor need not have to get consent from patient or his relatives regarding the procedures or surgery
3. In emergencies doctor should execute his moral and humanitarian duty to save the life of a patient
4. In medicolegal cases, doctor is bound to call the police

Correct answer: 2. Doctor need not have to get consent from patient or his relatives regarding the procedures or surgery

Explanation: Doctor should get informed consent from the patient or his relatives after explaining all procedures and risks before doing a surgery DUTIES OF REGISTERED MEDICAL PRACTITIONER TOWARDS PATIENT 1. Duty to exercise reasonable degree of skill and knowledge. 2. Duties in regard to attendance and examination. 3. Duty to furnish proper and suitable medicines. 4. Duty to give instructions. 5. Duties towards children and adults. 6. Consultation with a specialist. 7. Duties in regard to psychiatric patients. 8. Duties in regard to poisoning. 9. Duty to notify certain diseases. to. Duties in regard to operative procedures. 11. Duties under Geneva convention. 12. Duties in convention with X-rays. 13. Professional Secrecy. Ref: FORENSIC MEDICINE AND TOXICOLOGY Dr PC IGNATIUS THIRD EDITION PAGE 377